Hanging with the feet touching the ground is seen in:
1. Partial hanging
2. Complete hanging
3. Homicidal hanging
4. Suicidal hanging

Correct answer: 1. Partial hanging

Explanation: A i.e. Partial hanging